Schneider's 1st rank symptoms seen in
1. Delusion
2. Hallucination
3. Schizoid personality
4. Schizophrenia

Correct answer: 4. Schizophrenia

Explanation: Kurt Schneider (1959) described symptoms which, though not specific to schizophrenia, were of great help in making a clinical diagnosis of schizophrenia. These are popularly called as Schneider's first-rank symptoms of schizophrenia (FRS or SFRS). He also described the second rank symptoms of schizophrenia (which were considered by him as less influenced the diagnostic criteria and classification of schizophrenia and other related psychotic disorders. First Rank Symptoms (SFRS) of Schizophrenia 1. Audible thoughts: Voices speaking out thoughts aloud or ' thought echo'. 2. Voices heard arguing: Two or more hallucinatory voices discussing the subject in the third person. 3. Voices commenting on one's action. 4. Thought withdrawal: Thoughts cease and subject experiences them as removed by an external force. 5. Thought insertion: Experience of thoughts imposed by some external force on person's passive mind. 6. Thought diffusion or broadcasting: Experience of thoughts escaping the confines of self and as being experienced by others around. 7. ' Made' feelings or effect. 8. 'Made' impulses. 9. 'Made' volition or acts: In 'made' affect, impulses and volitions, the person experiences feelings, impulses or acts which are imposed by some external force. In 'made' volition, for example, one's own acts are experienced as being under the control of some external force. 10. Somatic passivity: Bodily sensations, especially sensory symptoms, are experienced as imposed on the body by some external force. 11. Delusional perception: Normal perception has a private and illogical meaning. Ref: A Short Textbook of Psychiatry, Niraj Ahuja, 7th Edition, pg. no. 54